Last to recover in spinal anesthesia is
1. Pain
2. Motor
3. Proprioception
4. Preganglionic

Correct answer: 4. Preganglionic